All of the following are in the superficial perineal space of the male EXCEPT the
1. Bulb of the penis
2. Crus of the penis
3. Bulbourethral gland
4. Bulbospongiosus muscle

Correct answer: 3. Bulbourethral gland

Explanation: The bulbourethral (Cowper's) gland is in the deep penineal space within the urogenital diaphragm. The duct from the gland leaves the deep perineal space, enters the superficial penineal space, and then enters the urethra. Because the gland is in the deep perineal space within a tightly confined area, infection of the gland is painful. The homologous gland in the female, the greater vestibular (Bartholins) gland, is in the superficial perineal space.